The earliest clinically significant field defect in primary open-angle glaucoma is:
1. Paracentral scotoma
2. Baring of blind spot
3. Seidel's scotoma
4. Isopter contraction

Correct answer: 1. Paracentral scotoma

Explanation: Ans. Paracentral scotoma